All of the following is true about Kevorkian sign except:
1. Persist even after 1 day of death
2. Appear within minutes of death
3. Visualized using ophthalmoscope
4. Cattle tracking sign

Correct answer: 1. Persist even after 1 day of death

Explanation: Kevorkian sign/ Cattle trucking sign: It is the earliest change in eye after death. Blood in the retinal vessels appear fragmented, visualized in opthalmoscope. It appears with in few seconds to minutes after death and persists for an hour.